Most common site in respiratory tract for amyloidosis is:
1. Lungs
2. Larynx
3. Nose
4. Pharynx

Correct answer: 2. Larynx

Explanation: The larynx is the most common site in the respiratory tract for amyloid deposition. Patient presentation is characterized by the presence of a submucosal mass, which may arise anywhere in the larynx and may impair vocal cord mobility.